A 30-year-old man who was recently started on haloperidol 30mg/day developed hyperpyrexia, muscle rigidity, akinesia, mutism, sweating, tachycardia and increased blood pressure. The investigations showed increased WBC count, increased creatinine phosphokinase. There is no history of any other drug intake or any sign of infection. The most likely diagnosis
1. Drug overdose
2. Neuroleptic malignant syndrome
3. Drug induce Parkinsonism
4. Tardive dyskinesia

Correct answer: 2. Neuroleptic malignant syndrome

Explanation: Neuroleptic Malignant Syndrome (Fever, EPS, High CPK, catatonic symptoms and autonomic dysfunction) Maximum with probably haloperidol (antipsychotic) Management: Bromocriptine, Dantrolene, Baclofen, General supportive care. Add-on lorazepam, Occasionally ECT Ref: A Short Textbook of Psychiatry, Niraj Ahuja, 7th Edition, pg. no. 179